Corneal sensation is lost in
1. Herpes simplex
2. Conjunctivitis
3. Fungal infection
4. Trachoma

Correct answer: 1. Herpes simplex

Explanation: A i.e. Herpes simplex Decreased corneal sensations, dendritic and geographical ulcers are characteristic features of Herpes simplex ocular disease Q Sensory supply of cornea is through trigeminal nerve Q. Neurotrophic keratopathy occurs due to paralysis of sensory supply of cornea. Causes of neurotrophic keratopathy or anaesthetic cornea are: